Innate immunity active againts viral cells -
1. NK cells
2. Cytotoxic T cells
3. B cell
4. Memory B cell

Correct answer: 1. NK cells

Explanation: NK cells are considered as an innate immune defence against cells that have lost the expression of ClassI MHC like virus infected cells and malignant cells. Reff: Ananthanarayanan & Panikers textbook of microbiology 9th edition pg: 137